Following statements are true regarding first pharyngeal arch :
1. Maxillary & mandibular prominences are formed
2. Maxilla & Zygomatic bone are formed by intermembranous ossification
3. Tensor palati formed by first arch
4. All

Correct answer: 4. All

Explanation: A i.e. Maxillary & mandibular prominences are formed; B i.e. Maxilla & Zygomatic bone are formed by intermembranous ossification; C i.e. Tensor palati formed by first arch